Wolf's graft is
1. Partial thickness graft
2. Micro vascular free graft
3. Full thickness graft
4. Mucocutaneous flap

Correct answer: 3. Full thickness graft